Gleason's grading system is for -
1. Carcinoma testis
2. Carcinoma colon
3. Carcinoma thyroid
4. Carcinoma prostate

Correct answer: 4. Carcinoma prostate

Explanation: Ans. is 'd' i.e,, Carcinoma prostateo The Gleason Grading system is used to help evaluate the prognosis of men with prostate cancer.